Mycoplasma pneumonia is characterised by all except-
1. Diagnosed by serum cold antibody
2. Treatment is erythromycin
3. Cannot be cultured from sputum
4. Raised ESR

Correct answer: 3. Cannot be cultured from sputum